Risk factors for stress urinary incontinence are all except
1. Smoking
2. Obesity
3. Hypertension
4. Pregnancy

Correct answer: 3. Hypertension

Explanation: Hypertension is not a risk factor for stress urinary incontinence.